Odontoid view is
1. Anteroposterior view
2. Posteroanterior view
3. Open mouth view
4. Lateral view

Correct answer: 3. Open mouth view

Explanation: (C) Open mouth view# AP open mouth projection of the odontoid peg can be troublesome. The main difficulty arises from the fine line between successful positioning and unsuccessful positioning.> There are a number of objectives when performing the AP open mouth odontoid peg view superimpose the outer table of the occiput of the skull with the patient's central incisors position the patient's head in a true AP position ensure the patient's mouth is open as wide as possible cone to include the anatomy of interest don't injure the patient in the process.> Anteroposterior: From front to back. When a chest x-ray is taken with the back against the film plate and the x-ray machine in front of the patient it is called an anteroposterior (AP) view. As opposed to from back to front (which is called posteroanterior).> Posteroanterior: From back to front. A chest x-ray taken with the chest against the film plate and the x-ray machine behind the patient is a posteroanterior(PA) view. As opposed to anteroposterior (AP).